True about silicosis all except:
1. Caused by exposure of silica oxide
2. Severe exposure- whole lung lavage may helpful in allet_ing symptoms
3. Fibrosis of upper lung
4. Fibrotic change can be reversed after stopping exposure

Correct answer: 4. Fibrotic change can be reversed after stopping exposure

Explanation: Ans: d -Fibrotic change can be reversed after stopping exposureSilicosis is progressive & what is more important is that silicotics are prone to tuberculosisThere is no effective treatment for silicosis. Fibrotic changes that have already taken place cannot be reversedNodular fibrosis, more frequent in apex & posterior border (upper part of lung) (c.f in asbestosis fibrosis in lower half of lung)Silicotics are more prone to develop pulmonary tuberculosis (but in recent year there is doubt whether silicotics really develop T.B.)For acute silicosis, bronchoalveolar lavage may alleviate symptoms, but does not decrease overall mortality.